Trophoblast differentiates at _ post-fertilization day?
1. 8-Jun
2. 12-Aug
3. 14-Dec
4. 16-18

Correct answer: 1. 8-Jun

Explanation: Ans. a. 6-8 Explanation: Trophoblast differentiates into cyto and syncytiotrophoblast at 6 - 8th-day post ovulation/fertilization. The references are from Gray's anatomy, Langman Embryology, and Moore Embryology.